The Supra basal layer of masticatory mucosa has express Cytokeratin type:
1. Type CK1 and 13.
2. Type CK1 and 10.
3. Type CK2 and 13.
4. Type CK2 and 10.

Correct answer: 2. Type CK1 and 10.

Explanation: About 20 types of cytokeratin are recognized. They can be classified into two main types: type I (basic cytokeratins) and type II (acidic cytokeratins). They have been assigned numbers: type I (1-8) and type II (9-20). Cytokeratins always occur in pairs of combination of type I with type II. In the absence of its pair they are unstable and are susceptible to degradation by proteases. Cytokeratin profile reflects both cell type and differentiation status in different types and different layers of epithelia. For example, the suprabasal layers of masticatory mucosa express CK1 and 10, whereas CK4 and 13 are expressed by suprabasal cells of lining mucosa.